Following are used in treatment of digitalis toxity except -
1. Potassium
2. Lignocaine
3. Fab particles
4. Hemodialysis

Correct answer: 4. Hemodialysis